MOA of oral hypoglycemic agent
1. Inhibit glucose uptake by skeletal muscle
2. Enhance glucose uptake by skeletal muscle
3. Stimulate glycogenolysis
4. Stimulate gluconeogenesis

Correct answer: 2. Enhance glucose uptake by skeletal muscle

Explanation: Ans. (b) Enhance glucose uptake by skeletal muscleRef.: KDT 6th ed. / 267OHA DrugsMechanism of actionMetformin and thiazolidinedi- ones* Inhibition of hepatic gluconeogenesis* Enhance glucose uptake in skeletal muscleSulfonylureas and ripaglindeStimulate insulin release from pancreasAcarboseDecrease absorption of glucose from intestine